The high risk groups for transmission of HIV virus include the following except -
1. Homosexuals
2. Haemophiliacs
3. Children of HIV mothers
4. Health care workers

Correct answer: 4. Health care workers

Explanation: Ans. is 'd' i.e., Health care workers In health care workers there is small but definite risk